All can be seen in hypernephroma, EXCEPT ?
1. Polycythemia
2. Renal vein thrombosis
3. Hypertension
4. None

Correct answer: 4. None

Explanation: Ans. 'None' All the features given in the question can be seen in Renal cell carcinoma or (Hypernephroma). Hematuria is the most common presenting feature. Renal cell carcinoma usually presents with anaemia but polycythemia can be seen in 4% of cases as a result of production of elythropoiten. Hypertension is seen in 20% of cases of Renal cell carcinoma. Renal cell carcinoma has a tendency to invade renal vein and cause renal vein thrombosis.